Acanthosis nigricans is associated with?
1. Insulin resistance
2. Gastric carcinoma
3. Hyperpigmentation
4. All of the above

Correct answer: 4. All of the above

Explanation: Ans is 'd' i.e. All of the above * Acanthosis nigricans is a brown to black, poorly defined, velvety hyperpigmentation of the skin. It is usually found in body folds, such as the posterior and lateral folds of the neck, the armpits, groin, navel, forehead, and other areas.* It typically occurs in individuals younger than age 40, may be genetically inherited.* This abnormal skin cell growth is most commonly triggered by high levels of insulin in the blood due to insulin resistance.* It may be associated with -A. Insulin resistance, diabetes mellitus and metabolic syndromeB. Excess circulating androgens, particularly Cushing's disease, acromegaly, polycystic ovarian disease, Addison's disease and hypothyroidismC. Malignant acanthosis nigricans is most commonly associated with gastrointestinal adenocarcinomas, as well as genitourinary cancers such as those of the prostate, breast, and ovary. Other cancers, such as those of the lung, stomach, and lymphoma, are occasionally associated with acanthosis nigricans,D. Acanthosis nigricans has been linked to the use of nicotinic acid, glucocorticoid use, combined oral contraceptive pills, and growth hormone therapy.